Peritonsilar abscess is also called:
1. Vincent's angina
2. Ludwig's abscess
3. Quinsy
4. Thornwaldt's abscess

Correct answer: 3. Quinsy

Explanation: Ans. c (Quinsy). (Diseases of ENT by PL Dhingra 2nd ed., 261)PERITONSILLAR ABSCESS (QUINSY)# It is collection of pus between capsule of tonsils and superior constrictor. # It is a complication of acute tonsillitis caused mainly by a mixed flora containing anaerobes and group A Streptococcus. # It is characterized by hot potato voice, odynophagia and halitosis. It causes deviation of uvula to opposite side. # While draining, it should be opened at the point of maximum bulge above upper pole of tonsil or just lateral to point of junction of anterior pillar, with a line drawn through the base of uvula. # Tonsils are removed 4-5 weeks following an attack of Quinsy (Interval tonsillectomy).RETROPHARYNGEAL ABSCESS# Acute (pediatric) # Chronic (adult, LN tuberculosis)PARAPHARYNGEAL ABSCESS# It is abscess of pharyngomaxillary or lateral pharyngeal spaces. It can spread to Mediastinum along carotid sheath.LUDWIG'S ANGINA# Rapidly progressive, potentially fulminant cellulitis involving bilateral sublingual and submandibular spaces and typically originating from infected or recently extracted tooth (commonly the lower 2nd/3rd molars).VINCENT'S ANGINA/ TRENCH MOUTH# Acute necrotizing ulcerative gingivitis (ANUG).